Which of the following doesn't elevate larynx?
1. Sternohyoid
2. Thyrohyoid
3. Mylohyoid
4. None

Correct answer: 1. Sternohyoid

Explanation: The sternohyoid depresses the hyoid bone following its elevation during swallowing. The mylohyoid muscle elevates the hyoid bone, helps in depressing the mandible against resistance, and elevates floor of mouth and hence the tongue during the first stage of deglutition. The thyrohyoid depresses the hyoid during swallowing and elevates the larynx when hyoid is fixed by suprahyoid muscles. Reference: Textbook of anatomy, Head neck, and Brain, Vishram Singh, 2nd edition, page no.121,94,95